Protein involved in Alzheimer's disease
1. Presel in - II
2. ApoE gene
3. Amyloid portion
4. All of the above

Correct answer: 4. All of the above

Explanation: (D) All of the above